Which of the following causes increase in both GFR and renal plasma flow?
1. Increased plasma colloid osmotic pressure
2. Dilatation of afferent arterioles
3. Constriction of afferent arterioles
4. Increased tubular pressure

Correct answer: 2. Dilatation of afferent arterioles

Explanation: Glomerular filtration rate (GFR) is the volume of fluid filtered from the renal (kidney) glomerular capillaries into the Bowman's capsule per unit time.Renal plasma flows (RPF) the amount of plasma that perfuses the kidneys per unit time. Approximately 90% of the total constitutes the effective renal plasma flow, the portion that perfuses functional renal tissue, such as the glomeruli.Ref: Ganong's review of medical physiology; 24th edition; page no; 680